Sunlight acts as sterilizing agent because
1. Long wavelength
2. Short wave length
3. Ozone
4. Heat is present

Correct answer: 2. Short wave length